Least common site to involved in osteoarthritis amongst the following is -
1. Hip joint
2. Knee joint
3. Carpometacarpal joint of thumb
4. Metacarpophalangeal joint

Correct answer: 4. Metacarpophalangeal joint